which of the following is the course of donovanosis
1. H Ducreyi
2. K granulomatosis
3. Leishmania donovani
4. Treponema Pallidum

Correct answer: 2. K granulomatosis

Explanation: Donovanssis or granuloma inguinale is a STD caused by Klebsiella granulomatis ref : ananthanaryana